Which of the following is not true for diagnosis of gas gangrene?
1. Pain out of proportion to necrotic tissue
2. Hyperbaric oxygen is best treatment
3. Extensive surgical debridement
4. Gas visible on radiograph

Correct answer: 2. Hyperbaric oxygen is best treatment

Explanation: Gas Gangrene: MC organism involved: Clostridium Perferinges/Welchii -->myonecrosis and rapid spread of infections. The gas in the tissue cause crepitus. Surgical Debridement is done. Hyperbaric O2 is SOMETIMES used in the treatment of the wound.